The mean value of APDI in normal occlusion is:
1. 78.4 ± 3.79
2. 81.4 ± 13.79
3. 89.3 ± 4.79
4. 91.2 ± 3.27

Correct answer: 2. 81.4 ± 13.79